Rigor mortis is also known as, EXCEPT:
1. Death stiffening
2. Cadaveric rigidity
3. Cadaveric lividity
4. None of the above

Correct answer: 3. Cadaveric lividity

Explanation: Rigor mortis also known as death stiffening or cadaveric rigidity, is a state of stiffening of muscles, sometimes with slight shortening of fibres. Individual cell death takes place in this stage due to lack of oxygen. Cadaveric lividity is the term used for post-mortem hypostasis. It is also called postmortem staining, subcutaneous hypostasis, livor mortis, suggilations, vibices, or darkening of death. Ref: Essentials of Forensic Medicine and Toxicology by Narayan Reddy, 27th edition, Page 140.